Most common presenting symptom of thread worm infection amongst the following is -
1. Abdominal pain
2. Irritation and pruritus of perianal area
3. Urticaria
4. Vaginitis

Correct answer: 2. Irritation and pruritus of perianal area

Explanation: Threadworm causes enterobiasis The worm produces intense irritation and pruritus of the perianal and perineal area when it crawls out of anus to lay eggs.This leads to scratching and excoriation of skin around anus. Ref:panikers textbook of Medical parasitology 8th edition page 196